Heart failure cells are seen in ?
1. Heart
2. Lungs
3. Kidney
4. Liver

Correct answer: 2. Lungs

Explanation: Ans. is 'b' i.e., LungsHeart failure cells (siderophages) are hemosiderin containing macrophages in alveoli that are seen in left ventricular failure and denote previous episodes of pulmonary edema.Left sided heart failureThe major morphological and clinical effects of LVF are due increased back pressure in pulmonary circulation and the consequences of diminished peripheral blood pressure and flow.The extracardiac organs involved commonly are ?Lung (most common)KidneyBrainLungPressure in the pulmonary veins increases and transmitted retrogradely to capillaries and arteries. o This results in pulmonary congestion and pulmonary-edema --> Wet lung.There is perivascular and interstitial transdate, particularly in the interlobular septa --> responsible for kerley's `B' lines on X-rays.Edematous fluid accumulates in alveoli.Iron containing proteins and hemoglobin leak out from the capillaries, and are phagocytosed by macrophages and converted to hemosiderin.Hemosiderin - containing macrophages in the alveoli (called siderophages, or heart failure cells) denote previous episodes of pulmonary edema.The clinical manifestations of LVF are primarily due to these changes in lungs --> Dysnea, orthopnea, paroxysomal nocturnal dysnea.KidneyDecreased cardiac output causes a reduction in renal perfusion.If it is severe enough to impaire the excretion of nitrogenous product (BUN, Creatinine), Prerenal ARF (Prerenal azotemia) may be precipitated.BrainReduced perfusion to brain may cause hypoxic / ischemic encephalopathy.